Which aminoacid does not take part in one carbon transfer reactions?
1. Alanine
2. Histidine
3. Glycine
4. Serine

Correct answer: 1. Alanine

Explanation: Reference: Harpers illustrated biochemistry 30th edition